During pregnancy, fibroid may have all of the following complications except:
1. Metastasis
2. Pain
3. Post partum hemorrhage
4. Preterm labour

Correct answer: 1. Metastasis

Explanation: Ans. A: Metastasis Pregnant women with fibroids are at increased risk for: Pain Breech presentation Malposition Higher incidence of cesarean delivery Preterm birth Premature rupture of the membranes Postpartum hemorrhage Placental abruption Submucosal, fibroids located beneath the placenta, and fibroids 7 to 8 cm in diameter had the highest risk for abruption.